A 36-year-old female presents with heavy menstrual bleeding. She has one child of 7 years. USG shows a single 3x3 cm submucosal fibroid. Hemoglobin is 10.5 gm/dl. What is the best treatment option for her?
1. GnRH injection
2. UAE
3. Hysteroscopic myomectomy
4. Laparoscopic myomectomy

Correct answer: 3. Hysteroscopic myomectomy

Explanation: Ans. is c, i.e. Hysteroscopic myomectomyThis patient is having heavy menstrual bleeding due to fibroid, i.e. she is symptomatic and hence management has to be done. Best management in fibroid is surgery. Since she is only 36 years and has one child We will go for myomectomy.Submucous fibroid <5cm, should be removed hysteroscopically. [?] Best management is hysteroscopic myomectomy.